All of the following are dimorphic fungi except:
1. Histoplasma capsulatum
2. Penicillium marneffei
3. Pneumocystis jiroveci
4. Sporothrix scheinckii

Correct answer: 3. Pneumocystis jiroveci

Explanation: Dimorphic fungi exist as moulds (hyphal form) in the environment at ambient temperature (25degC) and as yeasts in human tissues at body temperature (37degC). MNEMONIC for dimorphic fungi; HB PSC ( use HB pencil in PSC exam) Histoplasma capsulatum Blastomycoses sermatidis Paracoccidiodes brasiliense Penicillium marneffei Sporothrix schenckii Coccidioides immitis